In the Glasgow Coma Scale, coma score is given by the sum of scores for Eye Opening (E), Best Motor Response (M) and Verbal Response (V). The values assigned to E, M and V in the Glasgow Coma Scale are respectively
1. 5,5,5
2. 4,5,6
3. 4,6,5
4. 5,4,6

Correct answer: 3. 4,6,5

Explanation: (C) 4, 6, 5 GLASGOW COMA SCALE (CCS)Eye openingVerbal responseSpontaneous4Orientated5To speech3Confused conversation4To pain2Inappropriate words3Nil1Incomprehensible sounds2Nil1 Best motor responseObeys6Localises5Withdraws4Abnormal flexion3Extension response2Nil1# EMV:# Glasgow Coma Scale (CCS):> The maximum score Is 15, the minimum 3> E + M + V-3 to 15> Less than or equal to 8 are in coma> Greater than or equal to 9 not in coma> 8 is the critical score> Less than or equal to 8 at 6 hours - 50& die> 9-11 = moderate severity> Greater than or equal to 12 = minor injury> Coma is defined as: (1) not opening eyes, (2) not obeying commands, and (3) not uttering understandable words.